Which of the following drug is safe during pregnancy ?
1. Aminoglycoside
2. Ampicillin
3. Chloramphenicol
4. Cotrimoxazole

Correct answer: 2. Ampicillin